Posterior gliding of tibia on femur is prevented by -
1. Anterior cruciate ligament
2. Posterior cruciate ligament
3. Medial collateral ligament
4. Lateral collateral ligament

Correct answer: 2. Posterior cruciate ligament

Explanation: Ans. is 'b' i.e., Posterior cruciate ligament Posterior cruciate ligamento PCL begins from posterior part of intercondylar area of tibia and runs upwards, forwards and medially to attach the anterior part of the lateral surface of medial condyle of femur.o PCL is extrasynovial but intracapsular, i.e., lies betw een synovium and capsule of the knee joint,o It provides antero-posterior stability and prevents posterior gliding of tibia on femur,o It is taut in flexion.o Blood supply of cruciate (anterior & posterior) ligaments is from : -Middle genicular artery (major supply)Inferior genicular (medial & lateral) artery (less important).o Nerve supply of cruciate ligaments (ACL & PCL) is from posterior articular branch of tibial nerve.